To find out whether the stain is human or not the following test is done
1. Florence test
2. Takayamma test
3. Precipitant test
4. Barberios test

Correct answer: 3. Precipitant test

Explanation: Precipitin test This is a precipitation reaction by antigen and antibody. Human blood is injected into a rabbit every third day for 3-5 times. After this the animal is kiledk and the antiserum is collected. This is used for precipitin test to find out a particular tissue or stain is human or not. Ref: FORENSIC MEDICINE AND TOXICOLOGY Dr PC IGNATIUS THIRD EDITION PAGE 318